A 30 years old woman with chronic mental illness complaints of whitish milk like fluid coming from both breasts. Which of the drug is the likely to have caused this?
1. Ziprasidone
2. Risperidone
3. Olanzapine
4. Quetiapine

Correct answer: 2. Risperidone

Explanation: (Refer: The Maudsley's Prescribing Guidelines, 11th edition, chap 2 P.123)
Anti-psychotic induced hyper-prolactinaemia (25-118ng/ml)

Dopamine inhibits Prolactin release and so Dopamine antagonists can be expected to increase prolactin plasma levels
All anti Psychotics do not increase Prolactin above normal range at standard doses . These drugs are Clozapine , Olanzapine , Quetiapine , Aripiprazole , Ziprasidone .
Side effects include sexual dysfunction, decreased bone mineral density, menstural disturbances & galactorrhoea.